True about prostate specific antigen except:
1. Normal level is 10-14 ng/mL
2. It my elevated in BPH and Ca Prostate
3. It is produced by prostate
4. It is a glycoprotein

Correct answer: 1. Normal level is 10-14 ng/mL

Explanation: Ans. (a) Normal level is 10-14ng/mL.Ref: Campbell Urology 11th Edition, Page 2418* Normal serum concentration in men aged 50 to 80 years without prostatic disease range from 1to4ng/ml1.